Following displacement seen in Colle's fracture except
1. Dorsal tilt
2. Ventral tilt
3. Dorsal displacement
4. Lateral displacement

Correct answer: 2. Ventral tilt

Explanation: Colles fracture is the fracture of the distal fragment of radius at its cortical cancellous junction.,in adults, with typical displacement.I ts common in people above 40 years. It is due to fall on outstretched hands. Displacements: fracture lies transversely at cortico cancellous junction. In majority cases, one or more displacements described below may occur although in few cases it may be a crack fracture without displacement. The displacements seen in Colles fracture are: -Impaction of fragments -Dorsal displacements -Dorsal tilt -Lateral displacement -Lateral tilt -Supination All except ventral tilt are seen in Colles fracture Ref: Essential Orthopaedics, Maheswari & Mhaskar, Edition 5, Page no: 112